In tympanic membrane perforation, graft is taken from temporalis muscle fascia. What type of graft is this?
1. Autograft
2. Allograft
3. Xenograft
4. Isograft

Correct answer: 1. Autograft

Explanation: (a) Autograft (i.e. from the same individual)(Ref. Scott Brown, 8th ed., Vol 2; 1025)Allograft or homograft is a graft from another human being, i.e. from the same species.Xenograft is a graft from a different species, e.g. animalsIsograft is a graft from an identical/monozygotic twin.